In which of the following tissues, is glycogen incapable of contributing directly to blood glucose:
1. Liver
2. Muscle
3. Both
4. None

Correct answer: 2. Muscle

Explanation: Ans. B. Muscle(Ref: Harper 29/e page 180, Harper 31/e page 164)Differences between liver Glycogen and Muscle GlycogenFeaturesLiverMuscleTotal Body Glycogen contentLessHighestPercentage by tissue weightHighestLessRegulation of blood glucoseContributes to blood GlucoseDoes not contribute to blood Glucose